The hormone responsible for lactation is
1. Prolactin
2. FSH
3. LH
4. Progesterone

Correct answer: 1. Prolactin

Explanation: (Prolactin): Ref: 63-D, 4/4-K. Sembulingeum 3rdEndocrine control of lactation can be divided in to following stage(a) Preparation of breast (mammogenesis)(b) Synthesis and secretion of milk by breast alveoli (lactogenesis)(c) Ejection of milk (galactokinesis)(d) aintenance of lactation (galactopoiesis)* Immediately after the delivery of the baby and expulsion of placenta, there is sudden loss of estrogen and progesterone. Now the prolactin is free to exert its action on breast and to promote lactogenesis.* Prolactin is important for initiation of milk secretion rather than maintenance of milk secretion. Galactopoiesis depends upon other hormonal factors like growth hormone, thyroxine and cortisol* Milk ejection is a reflex phenomenon. It is called milk ejection reflex or milk let down reflex. It is a neuroendocrine reflex* Milk ejection in most species requires oxytocin (247-Ganong 22th)